All the following are used in hypertensive emergencies in preeclampsia except
1. Nifedipine
2. Methyldopa
3. Labetalol
4. Hydralazine

Correct answer: 2. Methyldopa

Explanation: Several drugs are available to rapidly lower dangerously elevated blood pressure in women with pregnancy-associated hypertension. The three most commonly employed are hydralazine, labetalol, and nifedipine. For years, parenteral hydralazine was the only one of these three available. But when parenteral labetalol was introduced, it was proven to be equally effective for obstetrical use. Orally administered nifedipine has since also gained popularity. All three of these are recommended as first-line agents by the American College of Obstetricians and Gynecologists (2017a).Reference: William's Obstetrics; 25th edition; Chapter 40; Hypertensive disorders